Horizontal ligature mark in the neck is seen in-
1. Throttling
2. Hanging
3. Strangulation by ligature
4. Chocking

Correct answer: 3. Strangulation by ligature

Explanation: Hanging → Oblique ligature mark.
Strangulation (ligature strangulation) → Horizontal ligature mark.
Throttling (strangulation by hand) and choking → No ligature mark